Which of the following organism produce corneal ulcer resembling fungal ulcers?
1. Klebsiella species
2. Mycobacteria
3. Nocardia asteroides
4. Chlamydia

Correct answer: 3. Nocardia asteroides

Explanation: Ulcer caused by Nocardia asteroides can present with satellite lesions and is associated with trauma.